Which of the following drug is not used in detrussor instability:
1. Solefenacin.
2. Flavoxate.
3. Duloxetine.
4. Tolterodine.

Correct answer: 3. Duloxetine.

Explanation: Duloxetine is an SSRI used for treatment of depression